All of the following statements are true regarding Vitamin A deficiency except -
1. Growth retardation is common
2. Frequent infections can occur
3. Hydrocephalus is infrequent
4. Anterior segment of the eye is initially involved

Correct answer: 4. Anterior segment of the eye is initially involved

Explanation: Ans. is 'd' i.e., Anterior segment of eye is initially involvedClinical manifestations of Vit A Deficiency o The most obvious symptoms of vitamin A deficiency are associated with requirement of this vitamin for maintenance of epithelial functions ?i) Intestine --> Pathogenic attack causes diarrheaii) Respiratory tract --> Infections & bronchial obstructioniii) Urinary tract --> UTI and caliculiiv) Skin --> Dry, scaly, hyperkeratotic patchesv) Squamous metaplasia of renal pelves, ureter, vaginal epithelium, and pancreatic & salivary ducts.o Poor growth because ofi) Above health problems in childrenii) Vitamin A helps in bone growth deficiency may retard growtho The most characteristic and specific sign of vitamin A deficiency are eye lesions.Which include night blindness, conjuctival xerosis, Bitot's spots, corneal xerosis and keratomalacia.The term xerophthalmia (dry eye) comprises all the ocular manifestations of vitamin A deficiency.o Other features are ?i) Skin becomes toad like (phrynoderma). But it is due to associated deficiency of essential fatty acids.Vitamin A deficiency may rarely lead to hydrocephalus.